All of the following electrocardiographic findings may represent manifestations of digitalis intoxication, creepr.
1. Bigeminy
2. Junctional tachycardia
3. Atrial flutter
4. Atrial tachycardia with variable block

Correct answer: 3. Atrial flutter

Explanation: Answer is C (Atrial flutter) "Digitalis is Projibrillatory but its administration does not cause Atrial Flutter" Digitalis causes several disturbances in cardiac rhythm. Various manifestations seen are elaborated in the table below. Atrial Flutter has notably not been mentioned. Manifestations of digitalis toxicity Cardiac manifestations Extracardiac manifestations Disturbance in cardiac rhythm Ventricular premature beats Bigeminy Ventricular tachycardia Ventricular fibrillation A.V. Block of varying degree of severity may occur. Anorexia, nausea vomiting (earliest sign) Weight loss Cachexia NeuralgiasQ GynaecomastiaQ Yellow visionQ Deliriums Non paroxysmal atrial tachycardia with variable A. V. Block is characteristic of Digitalis intoxication Also remember :Mobile type II block is not seen in digitalis intoxication CI